Laser used in LASIK-
1. Excimer
2. Argon
3. Holmium
4. Nd-yag

Correct answer: 1. Excimer

Explanation: Excimer (excited dimer) lasers are used in photo refractive keratotomy (PRK), LASIK and phototherapeutic keratectomy. Mechanism : produce UV light of very short wavelength which breaks chemical bonds of biologic materials, converting them into small molecules that diffuse away. Ref: AK Khurana 6thE pg462